A teenage girl is diagnosed with Mayer-Rokitansky-Kuster-Hauser syndrome. It consists of:
1. Ovaries, uterus, fallopian tubes are present
2. Uterus absent, distal fallopian tube, ovaries are present
3. Uterus, tubes and ovaries are absent
4. Uterus present tubes and ovaries absent

Correct answer: 2. Uterus absent, distal fallopian tube, ovaries are present

Explanation: In mullerian aplasia or mullerian agenesis or Mayer-Rokitansky-Kuster-Hauser syndrome, patients have a shallow vaginal pouch, only measuring 1 to 2 inches deep. In addition, the uterus, cervix, and upper part of the vagina are absent. Typically, a portion of the distal fallopian tubes are present. Also, normal ovaries are seen. Ref: Hoffman B.L., Schorge J.O., Schaffer J.I., Halvorson L.M., Bradshaw K.D., Cunningham F.G., Calver L.E. (2012). Chapter 18. Anatomic Disorders. In B.L. Hoffman, J.O. Schorge, J.I. Schaffer, L.M. Halvorson, K.D. Bradshaw, F.G. Cunningham, L.E. Calver (Eds), Williams Gynecology, 2e.